Cause(s) of retention of urine in reproductive age group :
1. Cervical fibroid
2. Retroverted gravid uterus
3. Severe UTI
4. All

Correct answer: 4. All

Explanation: Ans. is a, b, and c i.e. Cervical fibroid; Retroverted Gravid uterus; and Severe UTI Important gynaecological causes of acute retention : Acute retention Other symptoms Diagnosis Retention Primary amenorrhea Hematccaiposcopy Retention Secondary amenorrhea Retroverted gravid uterus Retention Menorrhagia Uterine leiomyoma (cervical fibroid) Retention No menstrual upset Ovarian or broad ligament tumor Retention Irregular bleeding Threatened abortion from a retroverted gravid uterus or pelvic haematocoele or pelvic abscess Besides the above causes gives an exhaustive list of other causes of urinary retention-in which urethritis causing spasm of voluntary external urethral sphincter and acute urinary retention is given.